All of the substances are present in dense granules of platelets, EXCEPT:
1. Serotonin
2. vWF
3. Calcium
4. ATP

Correct answer: 2. vWF

Explanation: vWF is released by alpha granules of platelets. Dense granules of platelets: contain the non-protein substances that are secreted in response to platelet activation, including serotonin, ADP, ATP, calcium and polyphosphate.Alpha granules of platelet: contain fibrinogen, fibronectin, vWF, PDGF, EGF, TGF Beta, platelet factor 4, thromboglobulin, albumin, immunoglobulins, antibacterial proteins and a complement inhibitor.